Chymotrypsinogen is a
1. Zymogen
2. Carboxypeptidase
3. Transaminase
4. Elastase

Correct answer: 1. Zymogen

Explanation: Ans. is 'a' i.e. Zymogen * Proteolytic digestive enzymes known as proteases have two main classes depending on specificity for the amino acids forming the peptide bond to be hydrolysed.